All of the following passing through lesser sciatic foramen, except:
1. Pudendal nerve
2. Internal pudendal vessels
3. Nerve to obturator internus
4. Inferior gluteal vessels

Correct answer: 4. Inferior gluteal vessels

Explanation: The lesser sciatic foramen is formed by the lesser sciatic notch of the pelvic bone, the ischial,the sacrospinous ligament and the sacrotuberous ligament. It transmits the following structures:The tendon of the Obturator internusInternal pudendal vesselsPudendal nerveNerve to the obturator internusRef: Moon D.A., Foreman K.B., Albeine K.H. (2011). Chapter 12. Pelvis and Perineum. In D.A. Moon, K.B. Foreman, K.H. Albeine (Eds), The Big Picture: Gross Anatomy.